Aphasia is most likely associated with a lesion in:
1. Broca's area
2. Sensory area
3. Primary motor area
4. Visual area

Correct answer: 1. Broca's area